Select the regime of corticosteroids which has the maximum adverse effect potential?
1. Prednisolone 20 mg/day oral for one year
2. Prednisolone 60 mg/day oral for 7 days
3. Dexamethasone 4 mg intravenous daily for 3 days
4. Methyl-prednisolone 1000 mg intravenous twice single dose

Correct answer: 1. Prednisolone 20 mg/day oral for one year

Explanation: * If used for more than two weeks, corticosteroids can lead to HPA axis suppession. If discontinued abruptly, precipitation of acute adrenal insufficiency can result. This is the most serious adverse effect seen with the use of corticosteroids that can cause death of the patient.